Lesion of which hypothalamic nuclei leads to loss of circadian rhythm
1. Dorsomedial
2. Ventromedial
3. Supraoptic
4. Suprachiasmatic

Correct answer: 4. Suprachiasmatic

Explanation: The suprachiasmatic nucleus or nuclei, abbreviated SCN, is a tiny region on the brain's midline, situated directly above the optic chiasm. It is responsible for controlling circadian rhythms. The neuronal and hormonal activities it generates regulate many different body functions in a 24-hour cycle, using around 20,000 neurons.Ref: Ganong's review of medical physiology; 24th edition; page no:-278